Testosterone production is mainly contributed by -
1. Leydig cells
2. Sertoli cells
3. Seminiferous tubules
4. Epididymis

Correct answer: 1. Leydig cells

Explanation: Ans. is 'a' i.e.. Ley dig cells o Androgens (including testosterone) are produced by ley dig cells (interstitial cells).o Leydig cells have receptors for LH and secrete androgens, i.e. Testosterone, dihydrotestosterone (DHT), androstenedione, and dehydroepiandrosterone (DHEA).o Sertoli cells have receptors for FSH and secrete ABP, inhibin and MIS. sertoli cells also have receptor for testosterone.